The appropriate statistical test to find out obesity as a significant risk factor for breast cancer is:
1. Student's paired 't' test
2. Student's unpaired 't' test
3. Chi-square test
4. Wilcoxon's signed rank test

Correct answer: 3. Chi-square test

Explanation: Obesity is qualitative variable ; breast cancer also qualitative. So, appropriate statistical test to find out obesity as a significant risk factor for breast cancer is Chi-square test.